Nasopharyngeal carcinoma presents as:
1. Epistaxis
2. Mass in neck
3. Headache
4. Nasal stuffiness

Correct answer: 2. Mass in neck

Explanation: (b) Mass in neck(Ref. Cummings, 6th ed., 1425; Scott Brown, 8th ed., Vol 3; 97)Nearly 75% of patients of nasopharyngeal carcinoma present with painless cervical lymphadenopathy of mainly the upper deep cervical lymph node.